Xenon anesthesia all are true accept:
1. Slow induction and recovery
2. Non explosive
3. Minimal cardiovascular side-effects
4. Low blood solubility

Correct answer: 1. Slow induction and recovery

Explanation: Xenon is an inert gas that has properties very close to an ideal anesthetic. Rapid induction , insoluble in blood , and tissues. Rapid recovery Potent anesthetic No effect on hepatic, renal and pulmonary function. No significant cardiovascular effects. Not metabolized in body. Fro padmaja 4th edition Page no 193